Which of the following inhalational agents, is the induction agent of choice in children?
1. Isoflurane
2. Desflurane
3. Sevoflurane
4. Methoxyflurane

Correct answer: 3. Sevoflurane

Explanation: Sevoflurane is considered to be the inhalational induction agent of choice in children, since it has a pleasant, faster, and smooth induction with no significant systemic toxicity. Other drugs which can be used in children are are a mixture of oxygen and nitrous oxide or halothane. Ref: Synopsis of Pediatric Emergency Medicine By Gary Robert Fleisher, 4th Edition, Page 34; Textbook of Anesthesia for Postgraduates By T. K. Agasti, Page 799.